Cetrimide agar isolates which of the following bacteria:
1. Clostridium perfringens
2. Clostridium tetani
3. Klebsiella
4. Pseudomonas

Correct answer: 4. Pseudomonas

Explanation: Ans. (d) PseudomonasRef.: Microbiology by Ananthanarayan and Paniker 8th ed. / 317* Pseudomonas is isolated from feces or other samples by using selective media such as cetrimide agar.